In child woman ratio, number of 0-4 years aged children are expressed:
1. Per 1000 women
2. Per 1000 women in reproductive age group (15-49 years)
3. Per 1000 married women in reproductive age group
4. Per 1000 married women in post - reproductive age group

Correct answer: 2. Per 1000 women in reproductive age group (15-49 years)

Explanation: Child woman ratio: Is number of 0-4 years aged children expressed per 1000 women in reproductive age group. (15 - 49 years) OTHER IMPORTANT PARAMETERS: GFR :- x1000. DR :- / .